Most common tumor of liver is:
1. Cavernous hemangioma
2. Hepatocellular carcinoma
3. Adenoma
4. Metastasis

Correct answer: 4. Metastasis

Explanation: Ans. (d) MetastasisRef: Harrison 19th ed. Z544* Most common tumor of liver is metastasis* Most common benign tumor of liver is cavernous Hemangioma* Most common cause of hepatocellular cancer is hepatitis B.